All are features of Mania except -
1. Insomnia
2. Pressure of speech
3. Disorientation
4. Granduer delusion

Correct answer: 3. Disorientation

Explanation: Manic patients are well alert and orientated.